Predictable and dose related drug induced hepatic injury is seen with all, EXCEPT:
1. Carbon tetrachloride
2. Acetaminophen
3. INH
4. Oral contraceptive agent

Correct answer: 3. INH

Explanation: There are two major types of chemical hepatotoxicity Direct toxicity-Predictable with short latent period Idiosyncratic-Not predictable and it can happen at any time Examples of direct hepatotoxic effects Carbon tetrachloride Acetaminophen OCP INH causes idiosyncratic type reaction Hepatitis is infrequent and unpredictable Ref: Harrison, Edition-18, Page-2558